Major functions of Vitamin E in the body
1. Regulation of energy metabolism
2. Carboxylation reaction
3. Blood clotting
4. Protection of biological membrane from free radical damage

Correct answer: 4. Protection of biological membrane from free radical damage

Explanation: The primary function of vitamin E is as an antioxidant in prevention of the nonenzymic oxidation of cell components, for example, polyunsaturated fatty acids, by molecular oxygen and free radicals. Vitamin E deficiency is almost entirely restricted to premature infants. When observed in adults, it is usually associated with defective lipid absorption or transport. The signs of human vitamin E deficiency include sensitivity of erythrocytes to peroxide and the appearance of abnormal cellular membranes. Reference: Lippincott Textbook of Biochemistry pg no. 391